Internal fistulas with colonic diverticulitis are most often -
1. Colovesical
2. Coloenteric
3. Colocolonic
4. Colovaginal

Correct answer: 1. Colovesical

Explanation: Ans. is 'a' i.e., Colovesical